Which viral association is found in pityriasis rosea?
1. HHV 7
2. CMV
3. Varicella Zoster
4. EBV

Correct answer: 1. HHV 7

Explanation: The exact etiology of Pityriasis rosea is not known, but it is considered to be a viral disease; Human herpes virus-6 (HHV-6) and human Herpes virus-7 (HHV-7) may play a role.